A56 years old patient presents after three days of cataract surgery with a history of increasing pain and decrease of vision after an initial improvement the most likely cause would be
1. Endophthalmitis
2. After cataract
3. Central retinal vein occlusion
4. Retinal detachment

Correct answer: 1. Endophthalmitis

Explanation: Pain which is increasing along with decrease in vision particularly after only three days of cataract surgery strongly suggest endophthalmitis